True statement (s) regarding hypertrophic scar
1. Grow beyond wound margin
2. More common in female
3. Not familial
4. Rarely subsides

Correct answer: 3. Not familial

Explanation: .hypertrophic scars does not grows beyond wound margin elevated from surface develop within 1 month of injury regress over time